Bone marrow aplasia is not seen with :
1. azathioprine
2. furosemide
3. chloramphenicol
4. Levodopa

Correct answer: 4. Levodopa

Explanation: Drug-induced bone marrow suppression: chloramphenicol- as an idiosyncratic reaction anticancer drugs like azathioprine diuretics like furosemide NSAIDs phenytoin, phenobarbital, methimazole, carbamazepine, gold salts ESSENTIALS of medical PHARMACOLOGY SIXTH EDITION-KD TRIPATHI Page:195,196